Zidovudine causes :
1. Neurotoxicity
2. Nephrotoxicity
3. Neutropenia
4. Ototoxicity

Correct answer: 3. Neutropenia